G6PD stands for
1. Glucose 6 phosphatase dehydratase
2. Glucose 6 phosphate dehydrogenase
3. Glucose 6 phosphodiesterase
4. Glucose 6 phosphate decarboxylase

Correct answer: 2. Glucose 6 phosphate dehydrogenase

Explanation: G6PD-glucose 6 phosphate dehydrogenaseRef: DM Vasudevan, 7th edition, page no: 67